A 6 hrs old snake bite patient come emergency with mild local oedema at the injury site on examination no abnormality detected, laboratory investigation shows normal report, most appropriate management-
1. Intravenous antisnake venom
2. Incision and suction
3. Wait & watch
4. Locally subcutaneous antisnake venom

Correct answer: 3. Wait & watch